Tzanck preparation is used for the following skin conditions, EXCEPT:
1. Pemphigus
2. SSS syndrome
3. Senear Usher syndrome
4. Fungal infections

Correct answer: 4. Fungal infections

Explanation: Microscopic examination of cells obtained from the base of vesicles (Tzanck preparation) may reveal the presence of acantholytic cells in the acantholytic diseases (e.g., pemphigus or SSS syndrome) or of giant epithelial cells and multinucleated giant cells (containing 10-12 nuclei) in herpes simplex, herpes zoster, and varicella. Material from the base of a vesicle obtained by gentle curettage with a scalpel is smeared on a glass slide, stained with either Giemsa or Wright stain or methylene blue, and examined to determine whether there are acantholytic or giant epithelial cells, which are diagnostic. Pemphigus erythematosus is also known as Senear-Usher syndrome. Ref: (2013). Introduction. In Wolff K, Johnson R, Saavedra A.P. (Eds), Fitzpatrick's Color Atlas and Synopsis of Clinical Dermatology, 7e.